Decorticate child-False statement is
1. Acute Brain injury
2. Susthalamic, CT & frontal lobe lesion
3. More dangerous than decerebrate lesion
4. Flexion of arm & extension of lower limb

Correct answer: 3. More dangerous than decerebrate lesion

Explanation: Causes of decorticate posturing : brain tumor. stroke. brain problem due to drug use, poisoning, infection, or liver failure. increased pressure in the brain. Decorticate Posturing The mechanism for decorticate posturing is not as well studied as that of decerebrate. Phylogenetically, the region of the red nucleus within the midbrain plays a significant part in locomotion. In primates, the rubrospinal tract influences primitive grasp reflexes, particularly in infants and is, incidentally, responsible for crawling.The rubrospinal tract carries signals from the red nucleus to the spinal motor neurons. Primates are reliant on fine motor skills, and therefore the motor cortex the corticospinal tracts is more prominent in movement than phylogenetically lower regions. Extensive lesions involving the forebrain, diencephalon, or rostral midbrain are known to cause decorticate posturing. This includes the motor cortex, premotor cortex, corona radiata, internal capsule, and thalamus.In primates, the rubrospinal tract descends as far as the thoracic spine, it, therefore, has effects on the upper limbs but not lower. The red nucleus, the rubrospinal tract, causes a flexion, grasping type reflex of the upper limbs. The higher brain centers, such as the cerebral cortex, inhibit this reflex during normal physiology. With a lesion of the corticospinal tract, the red nucleus is disinhibited, and the flexion reflex of the upper limbs is unimpeded. The vestibulospinal tracts, as discussed above, are also left disinhibited, and extension of the lower limbs occurs. This flexion of the upper limbs and extension of lower limbs is decorticate posturing. Reference: GHAI Essential pediatrics, 8th edition